Pseudothrombocytopenia is due to platelet agglutination antibodies when the calcium content is decreased by blood EDTA. The antibody to cause this effect is mainly:
1. IgG
2. IgA
3. IgM
4. IgD

Correct answer: 1. IgG

Explanation: IgG is the most common antibody to cause platelet agglutination and cause pseudothrombocytopenia. Ref: Harrison Edition - 18, Page - 965